Percentage of women who deliver on the expected date of delivery is
1. 4%
2. 15%
3. 35%
4. 70%

Correct answer: 1. 4%

Explanation: Based on Naegele's formula labor starts approximately onExpected date in 4%One week either side in 50%2 weeks earlier and 1 week later in 80%42 weeks in 10%43 plus weeks in 4%D.C.DUTTA'S TEXTBOOK OF GYNECOLOGY, Pg no:113,7th edition